Cavitating lesion in lung is seen in -
1. PAN
2. SLE
3. Wegeners granulomatosis
4. Sjogren's syndrome

Correct answer: 3. Wegeners granulomatosis